Longest diameter is -
1. BPD
2. Suboccipitobregmatic
3. Mentovertical
4. Submentobregmatic

Correct answer: 3. Mentovertical

Explanation: Ans. is 'c' i.e., Mentovertical* Biparietal diameter - 9.5 cm* Mentovertical diameter - 13.5 cm* Bitemporal diameter - 8 cm* Submentovertical diameter - 11.5 cm* Bimastoid diameter - 7.5 cm* Submentobregmatic diameter - 9.5 cm* Suboccipito-Bregmatic diameter - 9.5 cm* Occipitofrontal diameter - 11.5 cm* Suboccipito-Frontal diameter - 10 cm